Laparoscopy is the diagnostic procedure of choice for:
1. Ca uterus
2. Ca cervix
3. Ca rectum
4. Endometriosis

Correct answer: 4. Endometriosis

Explanation: Ans. D: Endometriosis Indications for gynaecological laparoscopy include the following: Ovarian cysts and tumours. Removal of fibroids (Myomectomy).or destroying them (Myolysis) Infertility, lysis of adhesions. Infertility, checking the condition and patency of the fallopian tubes. Reproductive or tubal surgery Endometriosis Intraperitonal Haemorrhage Polycystic Ovaries Pelvic infection (Pelvic Inflammatory disease) Egg collection for assisted reproduction Sterilization (laparoscopic Sterilization) Severe period pain Diagnosis and treatment of some uterine anomalies Pelvic floor and vaginal prolapse Urinary incontinence